Inferior orbital fissure is between which 2 walls of orbit:
1. Roof and medial
2. Lateral and floor
3. Floor and medial
4. Roof and lateral

Correct answer: 2. Lateral and floor

Explanation: Inferior orbital fissure is formed between the greater wing of the sphenoid (lateral wall) and maxilla (Floor)runs posterolaterally It transmits the zygomatic branch of the maxillary nerve and the ascending branches from the pterygopalatine ganglion The infraorbital vessels are found in the inferior orbital fissure and travel down the infraorbital groove into the infraorbital canal and exit through the infraorbital foramen Inferior division of ophthalmic vein passes through the inferior orbital fissure. No. 6 is Inferior Orbital fissure No. 3 is Superior Orbital fissure